Presumptive count includes
1. No E. Coli
2. Coliform but not only E.
3. Gram negative bacilli
4. Any bacteria

Correct answer: 2. Coliform but not only E.

Explanation: Presumptive coliform test

In presumptive coliform test the most probable number of all coliform organisms (not only E.coh) are counted → Presumptive coliform count.

The methods are : -

Multiple tube method
Membrane filtration technique.


After analysing presumptive coliforrn count, E.coli count is confirmed by other tests, e.g., by Eijkman test or indole production..